Green colored urine is seen after ingestion of: (Repeat)
1. Copper sulphate
2. Phenol
3. Organophosphorus
4. Cyanide

Correct answer: 2. Phenol

Explanation: Ans: B (Phenol) Ref: The Essentials of Forensic Medicine and Toxicology by KS Narayan Reddy. 29th edition. 2010. Pg: 478Explanation:Refer 2011 forensic medicine question explanation